Not a sign of blunt trauma?
1. Sphincter tear
2. angle recession
3. Corneal perforation
4. Retinal dialysis

Correct answer: 3. Corneal perforation

Explanation: Rings of Trauma: Hidden signs of Blunt trauma 1.Central Iris: Sphincter Tear 2.Peripheral Iris: Iridodialysis 3.Anterior Ciliary body: Angle recession 4.Separation of ciliary body from scleral spur: Cyclodialysis 5.Trabecular Meshwork: Trabecular Meshwork tear 6.Zonule/ lens: Zonular tear with possible lens subluxation 7.Retinal Dialysis: Separation of Retina with Ora Serrata